Dense mass of connective tissue seen in endodontically treated teeth called as:
1. Periapical cyst
2. Periapical granuloma
3. Residual cyst.
4. Periapical scar.

Correct answer: 4. Periapical scar.